What is the full form of CBNAAT?
1. Cartridge based nucleic acid amplification test
2. Cell based nucleic acid amplification test
3. Cartridge based New allele test
4. Cartridge based Newer Amino Acid test

Correct answer: 1. Cartridge based nucleic acid amplification test

Explanation: Ans. A. Cartridge based nucleic acid amplification testCartridge based Nucleic Acid amplification test. It is newer diagnostic modality for diagnosis of tuberculosis. It is a genotypic test Results of this are available within 2 hours. It not only reports detection of Mycobacterium but also detects resistance against Rifampicin.